True about yellow fevera) I.P. is 10-14 daysb) Transmittd by Aedesc) It is found in Asiad) Incidence is increased by humiditye) It is a flavivirus
1. abc
2. bde
3. ace
4. bce

Correct answer: 2. bde